PPIs are use used in -
1. ZE syndrome
2. NSAIDs induced peptic ulcer
3. Gastroesophageal reflux
4. All of the above

Correct answer: 4. All of the above

Explanation: Ans. is 'd' i.e., All of the above o PPI are the DOC for peptic ulcer (gastric or duodenal), GERD, ZE syndrome, prevention of aspiratory pneumonia and NSAID induced gastric / duodenal ulcers. Note - PGE1 analogue (Misoprostol) is specific drug for prevention and treatment of NSAID induced ulcer, but DOC is PPI.